Pupils alternatively contract and dilate known as hippus sign, is seen in
1. Arsenic poisoning
2. Aconite poisoning
3. Atropine poisoning
4. Albinoria

Correct answer: 2. Aconite poisoning

Explanation: Aconite poisoning occular: pupils show alternate constriction and dilatation. This is called hippus. In later stages, pupils will become widely dilated with dimness of vision and dipolopia. Ref: FORENSIC MEDICINE AND TOXICOLOGY Dr PC IGNATIUS THIRD EDITION PAGE 470